Lateral boundry of ischiorectal fossa is formed by
1. Gluteus maximus
2. Levator ani
3. Gluteus minimus
4. Obturator internus

Correct answer: 4. Obturator internus

Explanation: Boudaries of ischiorectal fossa
Anterior - Perineal membrane
Posterior - Gluteus maximus
Lateral - Obturator internus
Medial - External anal sphincter and levator ani